Platelet function assessed by -a) Platelet adhesionb) BTc) CTd) PTTe) ↓ed TLC
1. ab
2. a
3. ad
4. bc

Correct answer: 1. ab